In ureotelic animals, carbamoyl group are transferred to:-
1. Urea
2. Uric acid
3. Ornithine
4. Creatine

Correct answer: 3. Ornithine

Explanation: The question is asking about the first step of the urea cycle in an indirect way (See Fig). Based on how nitrogen is excreted, animals are divided into 3 categories. Ammoniotelic animals - Animals that excrete ammonia. e.g. Fishes Ureotelic animals - Animals which excrete urea e.g. Mammals including man Uricotelic - Animals that excrete uric aciduric acid. e.g. Birds